Hutchison's syphilitic traid includes all except
1. Associated with congenital syphilis
2. Notched incissor teeth
3. Nerve deafness
4. Associated with CVS anomalies

Correct answer: 4. Associated with CVS anomalies

Explanation: D i.e. Associated with CVS anomalies